Treatment of carcinoma larynx in stage T1 N0 M0 is:
1. Radiotherapy
2. Surgery-total laryngectomy
3. Partial laryngectomy
4. Chemotherapy

Correct answer: 1. Radiotherapy

Explanation: (a) Radiotherapy(Ref. Cummings, 6th ed., 1615)Radiotherapy is the treatment of choice for carcinoma larynx in stage I (T1N0M0).Partial laryngectomy can be done for stages I and II tumours where radiation therapy has failed.Total laryngectomy followed by radiotherapy is used as the treatment modality for large stage 4a tumours with thyroid cartilage invasion.Chemotherapy alone is not useful for management of carcinoma larynx.